90% of bladder cancer arise from ?
1. Squamous cells
2. Glandular cells
3. Transitional cells
4. Smooth muscle cells

Correct answer: 3. Transitional cells

Explanation: Ans. is 'c' i.e., Transitional cells There are three common histological types of bladder cancer :? Transitional cell carcinama (TCC) 90% Squamous cell carcinona (SCC) - 5 -10% Adenocarcinoma -- 2%